Pseudomonas is resistant to -
1. Vancomycin
2. Aztreonam
3. Ciprofloxacin
4. Polymyxin B

Correct answer: 1. Vancomycin

Explanation: Ans. is 'a' i.e., Vancomycin o Vancomycin is NOT active against pseudomonas.